Wedged hepatic venous pressure represents pressure in :
1. Main portal vein
2. Main hepatic vein
3. Sinusoids
4. Central vein radicles

Correct answer: 3. Sinusoids

Explanation: C i.e. SinusoidsWedged Hepatic Venous Pressure - It is the pressure recorded by a catheter wedged in a hepatic vein.- It reflects the contribution of hepatic sinusoids to portal venous pressure.Q- It is elevated in sinusoidal & presinusoidal portal hypertension,- Portal venous pressure: Wedged hepatic venous pressure - free hepatic venous pressure.